Treatment of choice for extragenital endometriosis is
1. Complete excision
2. Medical treatment only
3. Medical + surgical treatment
4. Steroids

Correct answer: 1. Complete excision

Explanation: Treatment of extragenital endometriosis will depend on the site. If complete excision is possible, this is the treatment of choice. When this is not possible, long-term medical treatment is necessary using the same principles of medical treatment for pelvic endometriosis. Surgical treatment of Bladder endometriosis -excision of the lesion and primary closure of the bladder wall. Ureteral lesions may be excised after stenting the ureter, Abdominal wall and perineal endometriosis -complete excision of the nodule. Appendicular endometriosis-Appendectomy.